Dihydroergotamine differs from ergotamine in the following respect :
1. It is a more potent oxytocic
2. It has antiemetic property
3. It has high oral bioavailability
4. It is more potent α-adrenergic blocker and less potent vasoconstrictor

Correct answer: 4. It is more potent α-adrenergic blocker and less potent vasoconstrictor

Explanation: Hydrogenation of ergot alkaloids decrease their vasoconstrictor action and increase the α-blocking activity.